Translocation of t(8: 14) is characteristic of :
1. Burkitt's lymphoma
2. Hairy cell leukemia
3. Mantle cell lymphoma
4. Follicular lymphoma

Correct answer: 1. Burkitt's lymphoma

Explanation: Ans: A (Burkitt's lymphoma) Ref: Rabbin !v Pathologic Basis of Disease, 8th ed, Pg. 601 Explanation: (See Table-4) Table-4 Summary of Major Types of Lymphoid Leukemia and Non-Hodgkin Lymphomas Diagnosis Cell of Origin Genotype Salient Clinical Features NEOPLASMS Of IMMATURE B AND T CELLS B-cell acute lymphoblastic leukemia/lymphoma Bone marrow precursor B ceil Diverse chromosomal translocations; t(12;21) involving CBFa and ETI/6 present in 25% Predominantly children; symptoms relating to marrow replacement and pancytopenia; aggressive T-cell acute lymphoblastic leukemia/lymphoma Precursor T cell (often of thymic origin) Diverse chromosomal Translocations, NOTCHl mutations (50% to 70%) Predominantly adolescent males; thymic masses and variable bone marrow involvement; aggressive NEOPLASMS OF MATURE B CELLS Burkitt lymphoma Germinal-center B cell Translocations involving c-MYC and lg loci, usually t(8.;14); subset EBV-associated Adolescents or young adults with extranodal masses; -uncommonly presents as, , leukemia; aggressive Diffuse large B-cell lymphoma Germinal-center or post-germinal-center B cell Diverse chromosomal rearrangements, most often of BCL 6 (30 %), BCL2(10%), or c- MYC (5%) All ages, but most common in adults; often appears as a rapidly growing mass; 30% extranodal; aggressive Extranodal marginal zone lymphoma Memory B cell T(11;18), t(l;14), and t(14;18( creating MALT1-IAP2, BCL10- IgH, and MALTl-IgH fusion genes, respectively Arises at extranodal sites in adults with chronic inflammatory diseases; may remain localized; indolent Follicular lymphoma Germinal-center B cell t(14;18) creating BCL2-lgH fusion gene Older adults with generalized 1ymphadenopathy and marrow involvement; indolent Hairy cell leukemia Memory B cell No specific chromosomal abnormality Older mates with pancytopenia and splenomegaly; indolent Mantle cell lymphoma Naive B cell t(l1:141 creating CydinDl-IgH fusion gene Older males with disseminated disease; moderately aggressive Multiple myeloma/solitary plasmacytoma Post-germinal-center bone marrow homing plasma cell Diverse rearrangements involving IgH;13q deletions Myeloma: elder adults with lytic bone lesions, pathologic fractures, hypercalcemia, and renal failure; moderately aggressive Plasmacytoma: isolated plasma cell masses in bone or soft tissue; indolent Small lymphocytic lymphoma/chronic lymphocytic leukemia Naive B cell memory B cell Trisomy 12, deletions of 11q, 13q, and 17p Older adults with bone marrow, lymph node, spleen, and liver disease; autoimmune hemolysis and thrombocytopenia in a minority; indolent NEOPLASMS OF MATURE T CELLS OR IMK CELLS Adult T-cell 1eukemia/lymphoma Helper T cell HTLV-1 provirus present in tumor cells Adults with cutaneous lesions, marrow involvement, and hypercalcemia; occurs mainly in Japan. West Africa, and the Caribbean; aggressive Peripheral T-cell 1ymphoma, unspecified Helper or cytotoxic T cell No specific chromosoma1 abnormality Mainly older adults; usually presents with lymphadenopathy; aggressive Anaplastic large-cell lymphoma Cytotoxic T cell Rearrangements of ALK Children and young adults, usually with lymph node and soft-tissue disease; aggressive Extranodal NK/T-cell lymphoma NK-cell (common) or cytotoxic T cell (rare) E8V-associated; no spec fie chromos om al abnormality Adults with destructive extranodal masses, most commonly sinonasal; aggressive Mycosis fungoides/Sezary syndrome Helper T cell No specific chromosomal abnormality Adult patients with cutaneous patches, plaques, nodules, or generalized erythemas indolent Large granular lymphocytic leukemia Two types: cytotoxic T cell and \K cell No specific chromosomal abnormality Adult patients with splenomegaly, neutropenia, and anemia, sometimes, accompanied by autoimmune disease.